A patient presents with acute renal failure and anuria. The USG is normal. Which of the following investigation will give best information regarding renal function?
1. Intravenous Pyelogram
2. Retrograde Pyelography
3. Antegrade Pyelography
4. DTPA scan

Correct answer: 4. DTPA scan

Explanation: Renal isotope scans such as DTPA, DMSA and MAG3 scan give information regarding renal function. Renal isotope scan can determine if there is obstruction and provide an estimate of differential and total function of the kidneys. Different types of renal scan includes 1. DMSA scan which demonstrate the amount of functional renal cortical tissue. 2. DTPA scan demonstrate overall function and obstruction. MAG3 scan can be used in the first few months of life when renal function is low and DTPA scan is ineffective. Diethylene triamine penta acetic acid (DTPA) scan is used to study the functioning status of the kidneys. In this scan gamma camera can measure the rate of excretion of isotope by each kidney and confirm functional obstruction. DMSA scan can show functional renal tissue in detail and may be useful in confirming the presence of scars in the renal cortex that may occur in reflux nephropathy. Ref: Jones' Clinical Paediatric Surgery : Diagnosis and Management By Peter G. Jones, John M. Hutson, Alan A Woodward, Page 215; Vital CKD By Rob Higgins, Page 20; Spinal Cord Medicine : Principles and Practice By Vernon W. Lin, Christopher M. Bono, Brunner and Suddarth's textbook of Medical-Surgical Nursing By Lillian Sholtis Brunner, Page 1308; Genitourinary Radiology: The Requisites By Ronald J. Zagoria, Page 382